DNA synthesis occurs during which phase of cell cycle
1. G 1phase
2. M phase
3. S phase
4. G2 phase

Correct answer: 3. S phase

Explanation: The replication of the DNA genome occurs only at a specified time during the lifespan of the cell. This period is referred to as the synthetic or S phase. This is usually temporally separated from the mitotic, or M phase, by nonsynthetic periods referred to as gap 1 (G1) and gap 2 (G2) phases, occurring before and after the S phase, respectively Harper30e pg: 383